Langerhans cells in skin are :
1. Antigen presenting cells
2. Pigment producing cells
3. Keratin synthesisng cells
4. Sensory neurons

Correct answer: 1. Antigen presenting cells

Explanation: A i.e Antigen presenting cells